Most significant angle in bur design
1. Rake angle
2. Clearance angle
3. Spiral angle
4. Crosscut angle

Correct answer: 1. Rake angle